Scrofula is a tuberculosis of:
1. Skin
2. Lymphnode
3. Spine
4. Lungs

Correct answer: 2. Lymphnode